Dalen Fuchs' nodules are seen in
1. Retinal detachment
2. Spring catarrh
3. Sympathetic ophthalmitis
4. None of the above

Correct answer: 3. Sympathetic ophthalmitis

Explanation: SYMPATHETIC OPHTHALMITIS It is a serious bilateral granulomatous panuveitis, which follows a penetrating ocular trauma. The injured eye is called exciting eye and the fellow normal eye which also develops uveitis is called sympathizing eye. Predisposing factors 1. It, almost always, follows a perforating wound. 2. Wounds in the ciliary region ( the so-called dangerous zone) are more prone to it. 3. Wounds with incarceration of the iris, ciliary body or lens capsule are more vulnerable. 4. It is more common in children than in adults. 5. It does not occur when actual suppuration develops in the injured eye. Pathology: Dalen-Fuchs nodules are formed due to proliferation of the pigment epithelium (of the iris, ciliary body and choroid) associated with invasion by the lymphocytes and epitheloid cells. Retina shows perivascular cellular infiltration (sympathetic perivasculitis ). Clinical features: Sympathizing (sound) eye: It is usually involved after 4-8 weeks of injury in the other eye. Sympathetic ophthalmitis almost always manifests as acute plastic iritis. Rarely, it may manifest as neuroretinitis or choroiditis. * Sensitivity to light (photophobia) and transient indistinctness of near objects (due to weakening of accommodation) are the earliest symptoms. Ref:- A K Khurana; pg num:-413